Felon is
1. Ulnar bursa infection
2. Mid palmar space infection
3. Terminal pulp space infection
4. Infection of ulnar bursa

Correct answer: 3. Terminal pulp space infection

Explanation: (C) Terminal pulp space Infection # Infection of the terminal pulp space (syn. Felon) Pulp-space infection is the second most frequent infection of the hand (about 25 per cent of all cases ).> Index finger and the thumb are affected most often.> Origin of the infection is usually a prick.> Many hand infections will settle if conservative treatment is initiated (elevation of hand, splinting and antibiotics) within 24-48 hours.> But if pus appears I & D should be done (at point of maximum tenderness)> Antibiotics changed> Splinting is done in Edinburgh position.